Which of the following organism's culture shows the phenomenon 'satellitism'?
1. Haemophilus
2. Streptococcus
3. Klebsiella
4. Proteus

Correct answer: 1. Haemophilus

Explanation: In culture media of Haemophilus species, optimal concentrations are not available unless the red blood cells are lysed by gentle heat (chocolate agar) or added separately as a supplement. Although erythrocytes are the only convenient source of hematin, sufficient amounts of NAD may be provided by some other bacteria and yeasts. This is responsible for the "satellite phenomenon," in which colonies of Haemophilus grow on blood agar only in the vicinity of a colony of Staphylococcus aureus. Ref: Ray C.G., Ryan K.J. (2010). Chapter 31. Haemophilus and Bordetella. In C.G. Ray, K.J. Ryan (Eds), Sherris Medical Microbiology,